Unilateral small smooth kidney is seen in -
1. Reflux nephropathy
2. Lobar infarction
3. Renal artery stenosis
4. Chronic glomerulonephritis

Correct answer: 3. Renal artery stenosis